All of the following are cofactors for Branched chain ketoacid dehydrogenase, EXCEPT
1. FAD
2. Lipoamide
3. NADP
4. Thiamin pyrophosphate

Correct answer: 3. NADP

Explanation: Thiamin pyrophosphate (Vit B1), Lipoic Acid, Coenzyme A (B5), FAD (Vitamin B2) and NAD+ (Vitamin B3) are required as cofactors for the following 3 enzymes, Pyruvate dehydrogenase a-keto glutarate dehydrogenase Branched chain keto acid dehydrogenase All these 3 enzymes are multienzyme complexes of three different enzymes.